Cystic fibrosis is associated with all except ?
1. Infertility
2. Azoospermia
3. Nasal polyps
4. Renal failure

Correct answer: 4. Renal failure

Explanation: Ans. is d i.e., Renal failure o Thick viscid plugs of mucus may also be found in the small intestine of infants. Sometimes these cause small-bowel obstruction, known as meconium ileus. o Chronic sinopulmonary disease manifested by : Persistent colonization/infection with typical cystic fibrosis pathogens, including Staphylococcus aureus, non typeable Hemophilus influenzae, mucoid and nonmucoid Pseudomonas aeruginosa, Burkholderia cepacia; Chronic cough and sputum production, nasal polyps. o Azoospermia and infertility are found in 95% of the males who survive to adulthood; congenital bilateral absence of the vas deferens is a frequent finding in these patients.